A 26 year old female presents with insidious onset of diplopia on alternate cover test, the patient has a right hypertropia, worse on right head tilt and left gaze. Which muscle is paralysed
1. Left superior rectus
2. Right superior oblique
3. Right inferior rectus
4. Left inferior oblique

Correct answer: 2. Right superior oblique

Explanation: Two important patterns:
Right (hyper) left (gaze) Right (tilt) - rt. so palsy.
Left (hyper) right (gaze) left (tilt) - lt. so palsy.